Biurette test is mainly done for:
1. Carbohydrate.
2. Protein.
3. Lipids.
4. Any of the above.

Correct answer: 2. Protein.

Explanation: Satyanarayan – 65
When biurette is treated with dilute copper sulfate in alkaline medium, a purple color is obtained. This is the basis of biurette test widely used for identification of proteins and peptides.